Perichondrial ring is -
1. Seen around foramen magnum
2. Seen around epiphyseal plate
3. More prominent in adults
4. Shear strength increases with age

Correct answer: 2. Seen around epiphyseal plate

Explanation: The perichondrial ring of La Croix also surrounds the growth plate circumferentially, similar to perichondrial groove. Perichondrial ring extends towards metaphysis and become continuous with periosteum of metaphysis.
With increasing age, perichondrial ring is thinned and its shear resistance (strength) is decreased.